True about central nystagmus is
1. Changing direction
2. Not suppressed by optic fixation
3. Horizontal or vertical
4. All of the above

Correct answer: 4. All of the above

Explanation: Nystagmus is central when the lesion is in the central neural pathways. It cannot be suppressed by optic fixation. The direction of nystagmus is changing and is non-fatiguable. (Ref: Diseases of EAR, NOSE AND THROAT by PL DHINGRA - 6th Edition)